What is mirabegron?
1. Alpha 2 agonist
2. Beta 3 agonist
3. Beta 1 agonist
4. Beta 2 agonist

Correct answer: 2. Beta 3 agonist

Explanation: Mirabegron used in overactive bladder which is a selective b3 agonist.